Return of Bulbocavernous reflex in spinal shock
1. Sign of recovery from spinal shock
2. Partial lesion of spinal cord
3. Complete transection of spinal cord
4. Incomplete transection of spinal cord

Correct answer: 1. Sign of recovery from spinal shock

Explanation: A i.e. Sign of recovery from spinal shock Spinal Shock Some times physical energy of the injury mechanism causes immediate depolarization of axonal membranes in the neural tissue. This results in functional neurological defecit that exceeds the actual tissue disruption. This condition is refered to as spinal shock. The presence of spinal shock causes the absence of all reflexesQ. And it typically lasts upto 24- 48 hours after the injuryQ. The bulbocavernosus reflex is the reflex that returns first, thus marking the end of spinal shockQ. This point has prognostic importance because recovery from a complete neurological deficit that is still present at the end of spinal shock is extremely unlikely. In other words, a total absence of sensation & voluntary motor functions caudal to the level of spinal cord injury in the absence of spinal shock (i.e. bulbocavernosus reflex has recovered) is indicative of complete spinal cord injury and there is virtually no likelihood of functional spinal cord recovery.